Which of the following tetracycline can be used in renal failure without dose adjustment?
1. Oxytetracycline
2. Doxycycline
3. Demeclocycline
4. Tetracycline

Correct answer: 2. Doxycycline